Regarding Hyperemesis gravidarum false is:
1. Allergic basis is suggested.
2. Hormonal imbalance may be a cause.
3. Small heart is an incidental finding.
4. May show manifestations of Wernicke's encephalopathy.

Correct answer: 3. Small heart is an incidental finding.

Explanation: Ans. C. Small heart is an incidental findingSmall heart is a constant finding; there may be subendocardial hemorrhage; small hemorrhages in the hypothalamic region giving the manifestations of Wernicke's encephalopathy. Etiology includes hormonal, psychogenic, dietetic and allergic basis.